Which of the following is not enclosed in mesorectal fasica?
1. Pararectal nodes
2. Superior rectal vein
3. Inferior rectal vein
4. Inferior mesenteric plexus

Correct answer: 3. Inferior rectal vein

Explanation: Ans. c. Inferior rectal vein Inferior rectal vein is not enclosed in mesorectal fascia. `Mesorectum is enclosed by mesorectal fascia which is derived from the visceral peritoneum, and is also known as visceral fascia of mesorectum, fascia propria of rectum or presacral wing of hypogastric sheath. Upper rectum is derived from the embryological hind gut, it is surrounded by mesorectum and its contents namely superior rectal artery and its branches, superior rectal vein and tributaries, lymphatic vessels and nodes along superior rectal artery, branches from inferior mesenteric plexus to innervate rectum and loose adipose connective tissue down to the level of levator ani (pelvic floor).' Mesorectal Fascia Mesorectum is enclosed by mesorectal fascia which is derived from the visceral peritoneumQ, and is also known as visceral fascia of mesorectum, fascia propria of rectum or presacral wing of hypogastric sheathQ. Upper rectum is derived from the embryological hind gut, it is surrounded by mesorectumQ. Contents of Mesorectal fascia Superior rectal artery and its branchesQ Superior rectal vein and tributariesQ Lymphatic vessels and nodes along superior rectal arteryQ Branches from inferior mesenteric plexus to innervate rectumQ Loose adipose connective tissueQ down to the level of levator ani (pelvic floor)